Middle value of a series of a given data arranged in a ascending or descending order is called
1. Median
2. Mode
3. Mean
4. Average

Correct answer: 1. Median